Which of the following is not an appropriate material for composite hand instruments?
1. Stainless steel
2. Teflon
3. Teflon coated metal
4. Nonmetallic

Correct answer: 1. Stainless steel